Indira Gandhi Matritva Sahyog Yojana is for ?
1. > 65 years old
2. > 50 years old
3. > 30 years old
4. > 19 years old

Correct answer: 4. > 19 years old

Explanation: Ans. is d i.e., > 19 years old o The Indira Gandhi Matritva Sahyog Yojana (IGMSY) is a flagship program of the government of India introduced in 2010 under the Ministry of Women and Child Development. o It is a conditional cash transfer scheme that targets pregnant and lactating women 19 years of age and older who have two children. Its goal is to partly compensate them for wage-loss during childbirth and childcare and to provide conditions for sale delivery and good nutrition and feeding practices.